The most potent topical corticosteroids is ?
1. Hydrocortisone butyrate cream 0.1%
2. Betamethasone valerate cream 0.5%
3. Clobetasol propionate cream 0.5%
4. Clobetasone butyrate cream 0.5%

Correct answer: 3. Clobetasol propionate cream 0.5%

Explanation: Ans. 'c' i.e., Clohetasol propionate cream 0.5% Classification of topical steroids based on potency Class 1 (Super Potent) Clobetasol propionate ointment and cream 0.5% Betamethasone dipropionate ointment 0.05% Halobetasol propionate ointment and cream 0.05% Class 2 (Highly potent) Mometasone furoate ointment 0.1 % Class 3 (Potent) Betamethasone dipropionate cream 0.05% Fluticasone propionate ointment 0.05% Class 4 (Moderately potent) Fluocinolone acetonide ointment 0.025% Fluticasone propionate cream 0.05% Mometasone furoate cream 0.1% Class 5 (Moderately potent) Betamethasone valerate cream 0.1% Hydrocortisone butyrate cream 0.1% Class 6 (Mildly potent) Desonide cream 0.05% Fluocinolone acetonide solution 0.05% Class 7 (Least potent) Dexamethasone cream 0.1 % Hydrocortisone 1%